A male neonate develops small-bowel obstruction due to malrotation of the midgut segment. An x-ray of the abdomen confirms the presence of small-bowel obstruction (Figure below). He undergoes an emergency laparotomy, untwisting of the malrotated intestines, and partial small-bowel resection for intestinal infarction. Which of the following statements is true of the small intestine (jejunum and ileum)?Upper GI shows dilation of the bowel secondary to volvulusDistension of duodenum with breaking of the second portion of the duodenum due to volvulus.
1. It is derived entirely from the midgut.
2. In the fetus, it enters the physiologic umbilical hernia in the fifth month.
3. It remains in the physiologic hernia for 4 months.
4. It is attached to the urachus.

Correct answer: 1. It is derived entirely from the midgut.

Explanation: The small intestine arises from the midgut segment. The midgut segment extends between the ampulla of Vater and the distal transverse colon. It enters the physiological umbilical hernia at sixth week and returns to the peritoneal cavity by the tenth week. The Vitello intestinal tract (site from which Meckel's diverticulum arises) is attached to the antimesenteric margin of the distal ileum. The urachus is attached to the bladder. The intestinal lymphatic drainage is directed to the preaortic glands.